Red brown colour postmortem staining seen in:
1. Cyanide
2. Phosphorus
3. Carbon-monoxide
4. Aniline

Correct answer: 4. Aniline

Explanation: D i.e. Aniline